The most emetogenic anticancer drug is :
1. Cisplatin
2. Carboplatin
3. High dose cyclophosphamide
4. High dose methotrexate

Correct answer: 1. Cisplatin

Explanation: Cisplatin is the most emetogenic anticancer drug.